Verapamil is associated with all except?
1. Constipation
2. Headache
3. Bradycardia
4. Hyperglycemia

Correct answer: 4. Hyperglycemia

Explanation: Ans. D. HyperglycemiaVerapamil is calcium channel blocker. CCB are safe in diabetic patients whereas thiazides and beta blockers should be avoided.